True about mycobacterium leprae ?
1. Transmitted by droplet infection
2. Phenolic glycolipid (PGL) is virulence factor
3. Generation time 12-13 days
4. All are true

Correct answer: 4. All are true

Explanation: Ans. is 'd' i.e., All are true Generation time of M. leprae is 12-13 days.'Phenolic glycolipid- I (PGL-1)' acts as a virulence factor.Modes of transmission are :?Droplet infection : Most common mode.Contact transmission : Either direct (skin to skin) or indirect (contact with contaminated soil or fomite).Other : Breast milk from lepromatous leprosy, by insect vector, by tattooing needles.